All of the following familial syndromes are associated with development of pheochromocytomas except:
1. MEN II A
2. Von hippel landau syndrome
3. MEN Type II B
4. Prader-Willi syndrome

Correct answer: 4. Prader-Willi syndrome

Explanation: Familial syndromes associated with pheochromocytoma are: - Von-Hippel-Landau (VHL) syndrome - MEN type-2A & 2B - mutation of RET gene - Neurofibromatosis type 1(NF1) - Sturge weber syndrome - Succinyl dehydrogenase mutations